All of the following are absolute C/I to uterine artery embolization except.
1. Pregnancy
2. Uterine infection
3. Endometrial cancer
4. Age of patient >=50 years

Correct answer: 4. Age of patient >=50 years

Explanation: Ans. is d, i.e. Age of patient >=50 years(Ref: Williams Gynae 3rd/ed, p210 Table 9-2)Absolute C/I to uterine artery embolization* Pregnancy* Active uterine or adnexal infection* Suspected reproductive tracts malignancy.Relative C/I:* Coagulopathy* Renal impairment* Desire for future fertility* Uterine size > 20-24 weeks* Prior salpingectomy* Prior pelvic radiation* Large hydrosalpinx